A man weighing 60 kg has 45 % hematocrit. What will be his plasma volume?
1. 2640
2. 3080
3. 3850
4. 3300

Correct answer: 1. 2640

Explanation: - Blood volume = 8% of body weight So, in 60kg adult blood volume is about 4.8 liters. * Out of this 4.8 liters - 45% is hematocrit (cell volume)- 55% is plasma volume- Therefore, plasma volume = 55% of 4.8 liter - 2640 ml.